All of the following medications may be used in congestive cardiac failure, Except
1. Spironolactone
2. Nitrates
3. Nesiritide
4. Trirnetazidine

Correct answer: 4. Trirnetazidine

Explanation: Answer is D (Trimetazidine) Trimetazidine is not used in the management of congestive heart failure. Trimetazidine is a novel anti-ischemic agent used for the treatment of coronary conditions like angina. Although it's exact mechanism of action is not known, it is believed to act by improving cellular tolerance to ischemia unlike other conventional antianginal agents. Spironoloactone, Nitrates and Nesritide may all be used in the managed of congestive Heart Failure Nestritide and nitrates are vasodilatory that help CHF by lowering left ventricular tilling pressures (by decreasing preload) Spironolactone is an aldosterone antagonist that helps in CHF by antagonizone tha effects of aldosterone. Drugs Used in Heart Failure Drugs which help in relieving congestive / low output symptoms and restoring cardiac performance * Diuretics - Furosemide Torsemide / Bumetanide / Hydrochlohiaizide / Metazolone * Vasodilators - Nitrates - Nisoprusside - Nesiritide * Inotropes - Digoxin - Dopamine / Dobutamine - Mitrinone - Levasimendan * Vasoconstrictors (to maintain blood pressure) - Dopamine for Hypotension - Epinephrine / Phenylephrine - Vasopressin Drugs which help in arresting / reversing disease progression and prolonging survival ACE Inhibitors - Captopril / Enalapril / Lisinopril / Ramipril etc Angiotension Receptor Blockers - Losartan / Valsartan / Irbesartan etc Beta Blockers - Carvedilol / Bisoprolol / Metoprolol Aldosterone Antagonist - Spironolactone